Which of the following immunoglobulin is a pentamer?
1. IgG
2. IgA
3. IgM
4. IgD

Correct answer: 3. IgM

Explanation: IgM Both secretory IgA (dimeric) and IgM (pentameric) have J chains IgM is the main immunoglobulin produced early in the primary immune response. IgM is present on the surface of virtually all uncommitted B cells. It is a pentamer composed of five H,L, units (each similar to one IgG unit) and one molecule of J (joining) chain.